Congenital Wilson's disease is characterized by:
1. KF ring is present at birth
2. May present as acute hepatitis
3. Decreased urinary copper excretion
4. Decreased hepatic copper concentration

Correct answer: 2. May present as acute hepatitis

Explanation: b. May present as acute hepatitis(Ref: Nelson's 20/e p 1939-1940, Ghai 8/e p 320-321)Kayser-Fleischer rings are absent in young patients with hepatic Wilson disease up to 50% of the time but are present in 95% of patients with neurologic symptoms.